Law does not consider the following doctrine in a charge of criminal negligence :
1. Vicarious liability
2. Contributory negligence
3. Resipsa loquitur
4. Novus actus interveniens

Correct answer: 2. Contributory negligence

Explanation: B i.e. Contributory negligence